The cause of larva currens -
1. Strongyloides stercoralis
2. Necator americanus
3. Ankylostoma duodonale
4. H. Nana

Correct answer: 1. Strongyloides stercoralis

Explanation: There may be a dermatitis, with erythema and itching at the site of penetration of the filariform larvae, particularly when large numbers of larvae enter the skin. In those sensitised by prior infection, there may be an allergic response. This may prevent circulation in the blood of the larvae, which may instead migrate in skin, leading to a form of creeping eruption or larva migrans. The term larva currens (meaning 'racing larva') has been applied to this rapidly progressing linear urticarial tracks caused by migrating strongyloides larvae. These often follow autoinfection and start perianally. REF:TEXTBOOK OF MEDICAL PARASITOLOGY;CKJ PANIKER;6TH EDITION;PAGE NO 173